Where is bruit heard in thyroid gland
1. Upper pole
2. Lower pole
3. Middle pole
4. Lateral side

Correct answer: 1. Upper pole

Explanation: Thrill is felt in the upper pole of the thyroid and also bruit on auscultation. It is because in the upper pole, superior thyroid artery enters the gland superficially and so thrill and bruit can easily be felt. In the lower pole inferior thyroid artery enters the gland from deeper plane and so thrill cannot be felt. Reference: SRB's Manual of Surgery, 6th Edition, page no = 463.